A 23-year-old woman is involved in a minor motor vehicle accident, prompting an abdominal computed tomography scan, which was read by the emergency department radiologist as normal with the exception of a questionable mass in the right lobe of the liver. A subsequent fine-needle biopsy confirms the presence of a liver adenoma. Which of the following is associated with the development of this lesion?
1. Hepatitis B
2. Hepatitis C
3. Oral contraceptives
4. Polycythemia vera

Correct answer: 3. Oral contraceptives

Explanation: Liver adenomas Benign liver tumors commonly associated with oral contraceptive use in young women. Resemble hepatocellular carcinoma. Subcapsular, Can rupture,- intra-abdominal hemorrhage. -Hepatitis B and hepatitis C can lead to hepatocellular carcinoma. -Polycythemia vera is associated with thrombosis of the hepatic veins. -Polyvinyl chloride predisposes to angiosarcoma of the liver.